"Nihilistic delusions" are seen in:
1. Endogenous depression
2. Dysthymia
3. Cyclothymia
4. None

Correct answer: 1. Endogenous depression

Explanation: A i.e. Endogenous depression